All the following are materials used for fabrication of maxillofacial prosthesis EXCEPT
1. Vinyl chloride polymers
2. Acrylic resins
3. Silicone rubber
4. Fiber reinforced composite

Correct answer: 4. Fiber reinforced composite